A 4-month-old boy is brought to the you. His parents report that the child stopped breathing at home, turned blue around his lips, and felt limp. After vigorous shaking of the infant and several mouth-to mouth breaths, the boy's color returned to normal, and he resumed breathing. The infant's condition is best described as:
1. Obstructive apnea
2. Central apnea
3. Apparent life-threatening event (ALTE)
4. Pneumonia

Correct answer: 3. Apparent life-threatening event (ALTE)

Explanation: An apparent life-threatening event (ALTE) is an episode of apnea associated with marked change in color and muscle tone. Such that an observer typically believes the infant will die without vigorous stimulation or resuscitation. Central apnea is cessation of breathing without respiratory effort, whereas obstructive apnea is cessation of airflow at the mouth and nose with continued respiratory effort. Apnea may be a symptom of many diseases in infants and should be labeled an ALTE only if no cause can be found, Sudden infant death syndrome (SIDS) is the death of an infant without adequate explanation by history or autopsy examination. Less than 10% of infants who die of SIDS have had a prior ALTE.